Cognisable offense comes under which section of Cr.P.C. -
1. 2C
2. 2B
3. 1A
4. None

Correct answer: 1. 2C

Explanation: (S.2 (c), Cr.P.C.)It is an offence in which a police officer can arrest a person without warrant from the Magistrate.eg:rape, murder, dowry death, rash or negligent act etc. Ref:The Symopsis of Forensic medicine& Toxicology (Dr.K.S.Narayan Reddy) pg no-5,28th edition.